Phenytoin is associated with:
1. Folic acid deficiency
2. Alzhiemer's disease
3. Cushing's syndrome
4. Vitamin C deficiency

Correct answer: 1. Folic acid deficiency